Carcinoma of buccal mucosa commonly drain to the following lymph nodes sites -
1. Submental
2. Submandibular
3. Supraclavicular
4. Cervical

Correct answer: 2. Submandibular

Explanation: Nodal involvement occurs in 50% cases of tumors of buccal mucosa.
Most common lymph node involved : Submandibular lymph nodes.